Before beginning a cesarean section (C-section) in a pregnant woman with a genital herpes infection, the obstetrician noted that she had an aponeurosis of the transverse abdominal muscle. This aponeurosis most likely contributes to the formation of which of the following?
1. Anterior layer of the rectus sheath below the arcuate line
2. Anterior layer of the rectus sheath above the umbilicus
3. Deep inguinal ring
4. Posterior layer of the rectus sheath below the arcuate line

Correct answer: 1. Anterior layer of the rectus sheath below the arcuate line

Explanation: The anterior layer of the rectus sheath below the arcuate line is formed by aponeuroses of the external and internal oblique and transverse abdominal muscles, but there is no posterior layer of the rectus sheath below the arcuate line. The anterior layer of the rectus sheath above the umbilicus is formed by aponeuroses of the external and internal oblique abdominal muscles. The deep inguinal ring lies in the transversalis fascia. The lacunar ligament is formed by the external oblique abdominal aponeurosis.